Wernicke's hemianopic pupillary reponse is seen in lesions at -
1. Optic tract
2. Optic chiasma
3. Optic radiation
4. Lateral geniculate body

Correct answer: 1. Optic tract

Explanation: Wernicice's hemianopic pupil is seen in complete lesion of optic tract.